Jaccod's triad is seen with:
1. Nasopharyngeal carcinoma
2. Nasopharyngeal angiofibroma
3. Cancer tongue
4. Adenoid cystic carcinoma of parotid gland

Correct answer: 1. Nasopharyngeal carcinoma

Explanation: Jaccod's triad: Ipsilateral opthalmoplegia, amaurosis & Ipsilateral neuralgia seen in nasopharyngeal carcinoma.